Treatment for pulp less young tooth is
1. Apexogenesis
2. Apexification
3. Pulpotomy
4. Mummification

Correct answer: 2. Apexification